The two blocks in the twin block functional appliance are angulated at (Or) The angle of inclined plane in clarke's twin block is
1. 45°
2. 70°
3. 65°
4. 80°

Correct answer: 2. 70°

Explanation: "Twin - Block appliance" is the most acceptable functional appliance and was introduced by William Clark. The appliance consists of a upper and lower appliances with posterior bite blocks. The upper and lower bite blocks interlock at an 70°